True about M. tuberculosis is -a) Strict aerobesb) Gram negativec) Thin cell walld) Curved rod
1. b
2. ad
3. ac
4. ab

Correct answer: 2. ad